Fastest tolerance develops in
1. Cannabis
2. Opiods
3. Alcohol
4. Benzodiazepines

Correct answer: 2. Opiods

Explanation: (Opiods): (Neeraj Ahujapsychiatry)DRUGUSUAL ROUTE OF ADMINISTRATIONPHYSICAL DEPENDENCEPSYCHIC DEPENDENCETOLERANCE1. AlcoholOral+ ++ ++2. Alcohol (Morphine Heroin)Oral, Parenteral, Smoking+ + ++ + ++ + +3. Cannabis (Marihuana)Smoking, Oral++ ++4. CocaineInhalation,, Oral, Smoking, Parenterl-+ +-5. AmphetaminesOral, Parenteral++ ++ + +6. Lysergic acid Diethylamide (LSD)Oral-++7. BarbituratesOral, Parenteral+ ++ ++ + +8. Benzodiazepine sOral, Parenteral+++9. Volatile SolventsInhalation++ ++10. Phencyclidine (PCP)Smoking, Inhalation, Parenteral, Oral+++